Placement of very sharp pointed instrument into the periodontium to extrude tooth out of the socket, this is called:
1. Lever principle.
2. Wedge principle.
3. Wheel and axle principle.
4. None.

Correct answer: 2. Wedge principle.